Post mortem staining in case of "CO" poisoning is:
1. Blue
2. Brown
3. Bright red
4. Cherry red

Correct answer: 4. Cherry red

Explanation: Cherry red